The extra - cellular polysaccharide synthesized by cariogenic streptococci in the presence of excess sucrose are best described as
1. Mucopolysaccharide
2. Dextran-like glucan
3. Glycogen-like glucan
4. Amylopectin

Correct answer: 2. Dextran-like glucan